Function of PHC are – a) Referral servicesb) Family planning & referral servicesc) Basic laboratory servicesd) Specialist servicee) Collection and reporting of vital statistics
1. bcde
2. abce
3. acde
4. abde

Correct answer: 2. abce

Explanation: Function of PHC :

Medical care
MCH including family planning
Safe water supply and basic sanitation
Prevention and control of locally endemic diseases
Collection and reporting of vital statistics
Education about health
National Health programmes
Referral services
Training of health guides, health workers, local dais and health assistants
Basic laboratory services


Following minor surgical procedure also done in PHC
Vasectomy
Tubectomy
MTP and minor surgical procedure
Pediatric care
Specialist in surgery, medicine, obstetrics and gynecology and pediatrics with X-ray and laboratory services are present in CHC.